Which of the following is not a common site for metastatic calcification?
1. Gastric mucosa
2. Kidney
3. Parathyroid
4. Lung

Correct answer: 3. Parathyroid

Explanation: Metastatic calcification may occur in normal tissues whenever there is hypercalcemia. Metastatic calcification may occur widely throughout the body but principally affects the interstitial tissues of the gastric mucosa, kidneys, lungs, systemic arteries, and pulmonary veins. But don't occur in parathyroid glands Robbins pathology 9e pg: 65